Incisal guidance is set by the dentist and is influenced by the amount of:
1. Condylar guidance.
2. Horizontal and vertical overlap.
3. Horizontal guidance.
4. All of the above.

Correct answer: 2. Horizontal and vertical overlap.